Consumption of uncooked pork is likely to cause which of the following helminthic disease -
1. Tineasaginata
2. Tineasolium
3. Hydatid cyst
4. Trichuris trichura

Correct answer: 2. Tineasolium

Explanation: Ans. is 'b' i.e.. Tinea solium o Mode of infection of tapewormsT. saginata-Under cooked beef containg cysticercus bovis.T. solium - Undercooked pork containg cysticercus cellulosae & rarely by ingestion of egg (autoinfection.)o Trichuris - trichura is caused by ingestion of infective egg via faeco-oral route from contaminated soil.o Hydatid cyst is caused by ingestion of infective egg via faeco-oral route from contaminated soil.